Seat belt injury involves -
1. Spleen
2. Mesentry
3. Femoral artery
4. Abdominal aorta

Correct answer: 2. Mesentry

Explanation: Ans. is 'b' i.e., Mesentry Sudden break will cause acute flexion of body over the lap strap of seat belt.This kind of injury can give rise to 'seat belt syndrome' which includes small intestine avulsions, intestinal, omental and mesenteric lacerations and intestinal contusions and perforations.